Which of the following catheter materials is most suited for long-term use is?
1. Latex
2. Silicone
3. Rubber
4. Polyurethane

Correct answer: 2. Silicone

Explanation: Silicone can remain in situ for 12 weeks. Ref: Campbell's Urology 8th Edition, Page 112